Chasaignac tubercle is
1. Erbs point
2. Carotid tubercle on C6 vertebra
3. Found on 1st rib
4. Medial condyle of humerus

Correct answer: 2. Carotid tubercle on C6 vertebra

Explanation: The anterior tubercle of the sixth cervical vertebra is known as the carotid tubercle or Chassaignac tubercle. This separates the carotid artery from the vertebral artery and the carotid artery can be massaged against this tubercle to relieve the symptoms of supraventicular tachycardia . The carotid tubercle is also used as a landmark for anasthesia of the brachial plexus and cervical plexus . Ref - pubmed.com